Which of the following nematode resides mainly in the caecum and appendix?
1. Ascaris lumbricoides
2. Mansonella ozzardi
3. Enterobius vermicularis
4. All of these

Correct answer: 3. Enterobius vermicularis

Explanation: Enterobius vermicularis is a nematode which lie attached to the mucosa of cecum. As its period of gravidity draws to a close it migrates down the colon and lay eggs in the perianal skin at night. Another nematode which resides predominantly in the cecum and colon is Trichuris trichura with its anterior portion threaded into the superficial mucosa. Infection occurs with the ingestion of eggs which that hatch in the duodenum releasing the larvae that mature before migrating to the large bowel.